Last organ to putrefy after death is:
1. Heart
2. Stomach
3. Prostate
4. Brain

Correct answer: 3. Prostate

Explanation: As a general rule, the organs show putrefactive changes in the following order: Putrefaction: It is a type of decomposition.
It is the final stage following death, in which the destruction of the soft tissues of the body is caused mainly by the action of bacterial enzymes, mostly anaerobic organisms derived from intestines.
The chief destructive bacterial agent is Clostridium welchii, which causes marked hemolysis, liquefaction of the postmortem clots, the disintegration of tissues and gas formation in blood vessels and tissues. Lecithinase produced by Cl. welchiii is mainly responsible.